The following age group is most severely affected by Rubella infection -
1. Females aged 25 -- 35 Year
2. Young girls
3. Adolescent girls
4. Unborn child

Correct answer: 4. Unborn child

Explanation: Ans. is 'd' i.e., Unborn child